Following  cells  are  responsible  for acid secretion in kidney:
1. I cells
2. P cells
3. Mesangial cell
4. Pericytes

Correct answer: 1. I cells

Explanation: Two types of cells in CD & DCT:
P (Principal) cell is responsible for:

Na+ reabsorption
K+ secretion
H2O Absorption

I (Intercalated) cell: two types

Alpha: acid secretion
Beta: HCO-2 secretion